The ingredient of the fixing solution (fixer) of the X-ray is:
1. Hydroquinone
2. Elon
3. Sodium bisulphate
4. Acetic acid

Correct answer: 4. Acetic acid